'Row of tombstones ' appearance is seen in
1. Irritant dermatitis
2. Pemphigus
3. Pemphigoid
4. Harpes zoster

Correct answer: 2. Pemphigus

Explanation: Ans. is 'b' i.e., Pemphigus o The Suprabasal acantholytic blister is characteristic of pemphigus vulgaris. The single layer of intact basal cells that forms the blister base has been likened to a row of tombstones.